One of the following is not a 5HT receptors on antagonist
1. Ketanserine
2. Lanreotide
3. Methylsergide
4. Tropisetron

Correct answer: 2. Lanreotide

Explanation: Lanreotide is a medication used in the management of acromegaly and symptoms caused by neuroendocrine tumors, most notably carcinoid syndrome. It is a long-acting analogue of somatostatin, like octreotide Refer kDT 6/e p166